What surgery is the treatment of choice in otosclerosis?
1. Stapedectomy
2. Stapes mobilization
3. Lemperfs Fenestration
4. Chemical labyrinthectomy

Correct answer: 1. Stapedectomy

Explanation: Ans. is 'a' i.e., Stapedectomy Surgery in otosclerosiso Surgical management is the treatment of choiceo Following surgeries are usedA) Stapedectomy with a placement of prosthesis: Here, complete stapes is removed and is replaced by a prosthesis. Traditionally it is considered as the treatment of choice.B) Stapedotomy: Here, a laser is used to make a hole in stapes to allow the placement of a prosthesis. It is now increasingly becoming the procedure of choice.C) Lemperts fenestration procedure: Fenestration of the lateral semicircular canal is done. It is reserved for cases where footplate cannot be mobilized during stapedectomy.D) Stapes mobilization: It can be tried in those cases only in which there is partial ankylosis of stapes footplate.